Transient myeloproliferative disorder of the newborn is seen in association with:
1. Turner syndrome
2. Down syndrome
3. Neurofibromatosis
4. Ataxia telangiectasia

Correct answer: 2. Down syndrome

Explanation: b. Down syndrome(Ref: Nelson's 20/e p 2442-2443, Ghai 8/e p 605-607)'Neonates and infants with Down Syndrome may have a condition known as 'transient myeloproliferative syndrome which mimics congenital leukemia'.